Test tube rete pegs are the characteristics feature of :
1. Dilantin hyperplasia.
2. Lichen planus.
3. Oral submocous fibrosis.
4. All of the above.

Correct answer: 1. Dilantin hyperplasia.